Call - Exner bodies are seen in :
1. Theca cell tumour
2. Fibromas
3. Granulosa cell tumour
4. None of the above

Correct answer: 3. Granulosa cell tumour

Explanation: Granulosa cell tumour